Carboxylation of clotting factors by vitamin K isrequired to be biologically active. Which of the following amino acid is carboxylated?
1. Histidine
2. Histamine
3. Glutamate
4. Aspartate

Correct answer: 3. Glutamate

Explanation: Glutamate [Ref: Harper 26/e p486/ See explanation of q no. 34 of Nov 2007.